A 30 years old female, RBC Counts 4.5 million, MCV 55fl, TC 8000, no history of blood transfusion
1. Iron deficiency anemia
2. Thalassemia major
3. Thalassemia minor
4. Megaloblastic anemia

Correct answer: 3. Thalassemia minor